Hegar's sign can be elicited by :
1. 8 weeks
2. 10 weeks
3. 12 weeks
4. 15 weeks

Correct answer: 1. 8 weeks

Explanation: 8 weeks